Commonest cause of non–communicating hydrocephalus in children is –
1. Congenital anomaly
2. Perinatal injury
3. Post–inflammatory obstruction
4. Brain tumors

Correct answer: 1. Congenital anomaly

Explanation: Hydrocephalus 

Hydrocephalus is characterized by an increased volume of CSF in association with progressive ventricular dilatation.